Voriconazole is used in the following except:
1. Aspergillosis
2. Candida albicans
3. Candida tropicalis
4. Mucormycosis

Correct answer: 4. Mucormycosis

Explanation: Voriconazole Voriconazole has a broader spectrum than fluconazole against. Candida species (including C. glabrata and C. krusei) and is active against Aspergillus, Scedosporium, and Fusarium. It is generally considered the first-line drug of choice for treatment of aspergillosis. Posaconazole, Isavuconazole are some azoles active against mucormycosis. Voriconazole has widest spectrum and is the drug of choice for invasive aspergillosis.